Best approach in thoracic trauma is
1. Midline sternotomy
2. Parasternal thoracotomy
3. Anterolateral thoracotomy
4. Posterolateral thoracotomy

Correct answer: 3. Anterolateral thoracotomy

Explanation: .Indications for thoracotomy * Haemothorax more than 1500 ml found when ICT is placed or hourly collection in ICT is 200- 300 ml * ICT placed shows persistent drainage of blood * Diaphragmatic injury * When associated with liver and spleen injuries * Bronchus and major vessel injuries * Haemopericardium * Oesophageal and thoracic duct injuries. ref:SRB's manual of surgery,ed 3,pg no 1061